Normal amount of pleural fluid is approximately
1. 5ml
2. 15 ml
3. 50 mL
4. 100m1

Correct answer: 2. 15 ml

Explanation: Normally, no more than 15 ml of serous, relatively acellular, clear fluid lubricates the pleural surface.
Increased accumulation of pleural fluid is called pleural effusion